A patient has the following findings-splenomegaly, low RBC count, normal WBC, and platelet count and peripheral blood smear shows tear drop cells. Repeated BM aspiration is unsuccessful. The probable diagnosis is:
1. Thalassemia
2. Chronic myeloid leukemia
3. Iron deficiency anaemia
4. Myelofibrosis

Correct answer: 4. Myelofibrosis

Explanation: Answer is D (Myelofibrosis) Presence of dry tap (unsuccessful aspiration), tear drop cells and splenomegaly all suggest a diagnosis of myelofibrosis.